A 19 year old young girl with previous history of repeated pain over medial canthus and chronic use of nasal decongestants, presented with abrupt onset of fever with chills and rigor, diplopia on lateral gaze, moderate proptosis and chemosis. On examination optic disc is congested. Most likely diagnosis is?
1. Cavernous sinus thrombosis
2. Orbital cellulitis
3. Acute ethmoid sinusitis
4. Orbital apex syndrome

Correct answer: 1. Cavernous sinus thrombosis